A 35-year-old man with a Lefort III fracture
complains of blood tinged watery discharge from his nose 2 days after the trauma. CT scan confirms NOE fracture as well.
The most common complication of CSF rhinorrhea is
1. Brain herniation
2. Blindness
3. Ascending Meningitis
4. Cavernous sinus thrombosis

Correct answer: 3. Ascending Meningitis